A Virus produces neonatal infections and infections in immunocompromised patients such as AIDS patients and most common clinical presentation is producing floaters, visual field deficits, and painless loss of vision. It also produces encephalitis and may produce calcifying lesions in the CNS.Virus most likely is:
1. CMV
2. EBV
3. HSV
4. 1-11-IV

Correct answer: 1. CMV

Explanation: CMV